Which skin tumor is k/a "Turban tumor" ?
1. Basal cell carcinoma
2. Squamous cell carcinoma
3. Cutaneous cylindroma
4. Dermatofibroma

Correct answer: 3. Cutaneous cylindroma

Explanation: Ans. is 'c' i.e., Cutaneous cylindroma In dermatologic pathology, a dermal cylindroma, also dermal eccrine cylindroma) and (less specifically) cylindroma, is a benign adnexal tumor, which occurs on the scalp and forehead.Multiple cylindromas may grow together in a "hat-like" configuration, sometimes referred to as a turban tumor.